All of the following are true about Juvenile Mycoclonic epilepsy, except:
1. Focal seizures
2. Generalized seizures
3. Myoclonus
4. Responses to sodium valproate

Correct answer: 1. Focal seizures

Explanation: Answer is A (Focal seizures): Juvenile Myoclonic epilepsy is a generalized seizure disorder and not a focal seizure disorder